All statements are true about papilloedema except:
1. Collection of extra-cellular fluid
2. Disruption of neurofilament
3. Stasis of axoplasmic transport
4. Swelling of the axon

Correct answer: 2. Disruption of neurofilament

Explanation: Ans. Disruption of neurofilament